Salutatory conduction refers to all of the following except
1. It is a rapid process
2. Jumping of depolarization from node to node
3. Current flow through myelin in negligible
4. The depolarization travels in opposite directions

Correct answer: 4. The depolarization travels in opposite directions

Explanation: Saltatory conduction (from the Latin saltare, to hop or leap) is the propagation of action potentials along myelinated axons from one node of Ranvier to the next node, increasing the conduction velocity of action potentials Ref: guyton and hall textbook of medical physiology 12 edition page number:71,72,73